When pH of stomach lumen falls below 4, antrum of the stomach releases a peptide that acts locally to inhibit gastrim release. This peptide is
1. Intrinsic factor
2. Secretin
3. Somatostatin
4. Gastrin

Correct answer: 3. Somatostatin

Explanation: Somatostatin and Prostaglandins inhibits gastrin release.